In Budd chiari syndrome the occlusion is at the:
1. IVC
2. Renal vein
3. Hepatic vein
4. Splenic vein

Correct answer: 3. Hepatic vein

Explanation: Ans: c (Hepatic vein)Ref: Bailey & Love, 24th ed, p. 1074 & 23rd ed, p. 943